Regarding cytosolic Eukaryotic gene expression false is
1. Capping helps in attachment of mRNA to 40 S Ribosome
2. N formyl methionine tRNA will be the first t-RNA to come into action
3. EF2 shifts between GDP & GTP
4. Releasing factor releases the polypeptide chain from the P site

Correct answer: 2. N formyl methionine tRNA will be the first t-RNA to come into action

Explanation: N-Formylmethionine (fMet) is a derivative of the amino acid methionine in which a formyl group has been added to the amino group. It is specifically used for initiation of protein synthesis from bacterial and organellar genes and may be removed post-translationally.fMet is delivered to the ribosome (30S) - mRNA complex by a specialized tRNA(tRNAfMet) which has a 3'-UAC-5' anticodon that is capable of binding with the 5'-AUG-3' start codon located on the mRNA. fMet is thus coded by the same codon as methionine; however, AUG is also the translation initiation codon. When the codon is used for initiation, fMet is used instead of methionine, thereby forming the first amino acid as the peptide chain is synthesized.